Cyproheptadine acts on all receptors except ?
1. D2
2. H1
3. Muscarinic
4. 5HT2A

Correct answer: 1. D2

Explanation: Ans. is 'a' i.e., D2 Cvproheptadine It primarily blocks 5HT2A receptors and has additional HI antihistaminic, anicholinergic and sedative properties. It is used in allergies and as antipuritic agent. It increases appetiteand has been used in children and poor eaters to promote weight gain. It is used in controlling intestinal manifestations of carcinoid and post gastrectomy dumping syndrome as well as in antagonizing priapism/ or orgasmic delaycaused by fluoxetine and trazodone.